Bilaterally enlarged kidneys are seen in ?
1. Chronic glomerulonephritis
2. Chronic pyelonephritis
3. Benign nephrosclerosis
4. Polycystic Kidney disease

Correct answer: 4. Polycystic Kidney disease

Explanation: Ans. is 'd' i.e., Polycystic kidney disease;o Bilaterally enlarged kidneys are found in polycystic kidney diseases and Amyloidosis of kidney.